Limiting amino acids in wheat are:
1. Methionine and lysine
2. Lysine and threonine
3. Threonine and methionine
4. Arginine and lysine

Correct answer: 2. Lysine and threonine

Explanation: Amino acids most deficient in proteins of a food item are 'Limiting amino acids'. Food Item Limiting Amino Acid(s) Cereals Threonine (& Lysine) Pulses Methionine (& Cysteine) Maize Tryptophan (& Lysine) - As wheat is a cereal, limiting AA are Lysine & threonine.